Indirect retention for a partial denture is achieved from which one of the following?
1. Lingual bar
2. Lingual plate
3. Palatal bar
4. Double palatal bar

Correct answer: 2. Lingual plate